Another name for glucose -
1. Dextrin
2. Dextrose
3. Sucrose
4. Saccharin

Correct answer: 2. Dextrose

Explanation: Ans. is 'b' i.e., Dextrose o In solution, glucose is dextrorotatory, and glucose solutions are sometimes known as dextrose.Isomerism of sugarso Sugars Exhibit Various Forms of Isomerismo Glucose, with four asymmetric carbon atoms, can form 16 isomers.(Formula given as 2n,where n is number of asymmetric carbon atoms).o The more important types of isomerism found with glucose are: D and L isomerism:The designation of a sugar isomer as the D form or of its mirror image as the L form is determined by its spatial relationship to the parent compound of the carbohydrates, the three-carbon sugar glycerose (glyceraldehyde).The L and D forms of this sugar, and of glucose, are shown in Figure.The presence of asymmetric carbon atoms also confers optical activity on the compound.When a beam of plane-polarized light is passed through a solution of an optical isomer, it rotates either to the right, dextrarotatory (+), or to the left, levorotatory (-).The direction of rotation of polarized light is independent of the stereochemistry of the sugar, so it may be designated D(-), D(+), L(-), or L(+).Pvranose and furanose ring structures:The ring structures of monosaccharides are similar to the ring structures of either pyran (a six-membered ring ) or furan (a five-membered ring). For glucose in solution, more than 99% is in the pvranose form.Alpha and beta anomers:The ring structure of an aldose is a hemiacetal, since it is formed by combination of an aldehyde and an alcohol group.Similarly, the ring structure of a ketose is a hemiketal.Crystalline glucose is a-D-glucopyranose.Epimers:Isomers differing as a result of variations in configuration of the -OH and -H on carbon atoms 2, 3, and 4 of glucose are known as epimers. Biologically, the most important epimers of glucose are mannose and galactose, formed by epimerization at carbons 2 and 4, respectively.a-D-Gaiactose a-D-Glucose a-D-MannoseALdose-ketose isomerism:# Fructose has the same molecular formula as glucose but differs in its structural formula, since there is a potential keto group in position 2, the anomeric carbon of fructose , whereas there is a potential aldehyde group in position 1, the anomeric carbon of glucose.